During the formation of primary teeth
1. Enamel forms more cervically than dentin
2. Enamel forms faster than dentin
3. Dentin forms faster than enamel
4. Processes of their cells remain in content with each other

Correct answer: 3. Dentin forms faster than enamel